Which of the following is NOT a component of t RNA?
1. D-loop
2. TpsC loop
3. Codon arm
4. Variable loop

Correct answer: 3. Codon arm

Explanation: Component Function Acceptor stem Hydroxyl group of adenosyl nucleotide forms an ester bond with the carboxyl group of aminoacid. DHU arm (DiHydroUridine) or D arm Recognition by specific aminoacyl tRNA synthetase Anticodon arm Base pairs with the codon of mRNA TpsC arm (RiboThymidine, Pseudouridine (ps), Cytidine) Ribosomal recognition Variable loop Unique sequences that are specific for that particular tRNA.